Which of the following enzyme does not catalyse the irreversible step in glycolysis
1. Hexokinase
2. Phosphoglycero kinase
3. Pyruvate kinase
4. Phosphofructokinase

Correct answer: 2. Phosphoglycero kinase

Explanation: Glycolysis Site of occurrence Cytosol Aerobic glycolysis Glucose - Pyruvate ; 8 ATP Anaerobic glycolysis Glucose - Lactate ; 2 ATPReaction occurring in aerobic conditions only Glyceraldehyde 3 phosphate - 1,3- bisphosphoglycerate Inhibitors Glyceraldehyde 3 phosphateIodo acetate 1,3 bisphosphoglycerate Arsenite Enolase Fluoride Glycolysis TCA cycle Malate shuttle ( Liver , Heart , Kidney )38 ATP / 32 ATP ( new )Glycolysis TCA cycle Glycerophosphate shuttle ( Brain , White skeletal muscles )36 ATP / 30 ATP ( new )Irreversible reactions Reactions Enzymes Glucose - Glucose-6-phosphateHexokinase Fructose-6-phosphate - Fructose-1,6,bisphosphatePhosphofructokinasePhosphoenolpyruvate - Pyruvate Pyruvate kinase Oxidative / Substrate level phosphorylation Reactions Enzymes 1,3- bisphosphoglycerate - 3 phosphoglyceratePhosphoglycerate kinase Phosphoenol pyruvate - Pyruvate Pyruvate kinase Harper's illustrated Biochemistry , 30th ed , page 172